A 10-day-old infant presents with projectile vomiting. His mother states that the infant will actively drink his milk, but he forcefully vomits after each feeding. The infant shows signs of failure to thrive, with weight loss, dehydration, and lethargy. Physical examination reveals a firm, nontender, mobile, "olive-shaped" epigastric mass. Which of the following is the most likely diagnosis?
1. Candida esophagitis
2. Congenital pyloric stenosis
3. Esophageal cancer
4. GERD

Correct answer: 2. Congenital pyloric stenosis

Explanation: Congenital pyloric stenosis now called Infantile hypertrophic pyloric stenosis. - Caused by hypertrophy of circular muscle layer of pylorus, -Palpable mass in epigastrium. - Hypertrophy of pyloric musculature -Obstruction,non-bilious projectile vomiting. - Male infants within first several days to weeks of life. -